Cardiomyopathy may be seen in all except ?
1. Duchenne muscular dystrophy
2. Friedrich's ataxia
3. Type II glycogen storage disease
4. Alkaptonuria

Correct answer: 4. Alkaptonuria

Explanation: Ans. is 'd' i.e., Alkaptonuria o Cardiomyopathy, which literally means "heart muscle disease", is the deterioration of the function of the myocardium. o Cardiomyopathies can generally be categorized into two groups ? 1. Extrinsic cardiomyopathies o These are the cardiomyopathies where the primary pathology is outside the myocardium. o Most cardiomyopathies are extrinsic, because by for the most common cause of cardiomyopathy is ischemia, ischemic cardiomyopathy. o Other important extrinsic cardiomyopathies are alcoholic cardiomyopathy and diabetic cardiomyopathy. 2. Intrinsic cardiomyopathies o An intrinsic cardiomyopathy is weakness in the muscle of heart that is not due to an identifiable external cause. o Intrinsic cardiomyopathies are generally classified into three types. 1.Dilated cardiomyopathy --> Most common intrinsic cardiomyopathy. 2.Hypertrophic cardiomyopathy 3.Restrictive cardiomyopathy Least common intrinsic cardiomyopathy. Primary Myocardial Involvement Idiopathic (D, R, H) Familial (D, R, H) Eosinophilic endomyocardial disease (R) Endomyocardial fibrosis (R) Secondary Myocardial Involvement Infective (D) Viral myocarditis Bacterial myocarditis Fungal myocarditis Protozoal myocarditis Metazoal myocarditis Spirochetal Rickettsial Metabolic (D) Familial storage disease (D, R) Glycogen storage disease Mucopolysaccharidoses Hemochromatosis Fabry's disease Deficiency (D) Electrolytes Nutritional Connective tissue disorders (D) Systemic lupus erythematosus Polyarteritis nodosa Rheumatoid arthritis Progressive systemic sclerosis Dermatomyositis Infiltrations and granulomas (R, D) Amyloidosis Sarcoidosis Malignancy Neuromuscular (D) Muscular dystrophy Myotonic dystrophy Friedreich's ataxia (H' Sensitivity and toxic reactions (D) Alcohol Radiation Drugs Peripartum heart disease (D)